Which of the following property of the drug will enable it to be used in low concentration ?
1. High affinity
2. High specificity
3. Low specificity
4. High stability

Correct answer: 1. High affinity